Panda sign is suggestive of-
1. Sarcoidosis
2. Silicosis
3. Wegenersgranulomatosis
4. Asbestosis

Correct answer: 1. Sarcoidosis

Explanation: Ans. is 'a' i.e., Sarcoidosis Panda signo It is a radiogical sign seen on Gallium scans op patients usually suffering from sarcoidosis,o It depicts increased uptake of gallium in the nasopharynx. lacrymal glands and parotid glands due to inflammation resembling dark markings an pandas face.